Potato nose is seen in ?
1. Acne vulgaris
2. Rhinosporoidosis
3. Acne rosacea
4. Lupus vulgaris

Correct answer: 3. Acne rosacea

Explanation: Ans. is 'c' i.e., Acne rosacea Acne rosacea Acne rosacea, commonly called rosacea, is a chronic non-curable skin disease with periodic ups and down. It occurs in middle age (30-50 years). It is more common in females, but is more severe in males. Rosacea is a centrofacial disease, i.e., it involves the central face -Cheeks, Chin, Forehead, Nose, making typical cruciate pattern of involvement. Periorbital & perioral areas are spared. Clinical features are intermittant flushing followed by more permanent erythma and telangiectasia. On this back-ground, erythmatous papules, papulo pustules and rarely nodules develop. Lesions may be exacerbated by light (photosensitive) and spicy foods. Complications are : ? Rhinophyma : - Rhinophyma is large, bulbous, ruddy appearance of nose caused by granulomatous infiltration of skin. It is slowly progressive condition due to hypertrophy of sebaceous gland on the tip of nose. It is also known as Potato nose. Ophthalmologic : - Blephritis, Conjuctivits, Keratitis,. Lymph edema : - Infra-orbital and on forehead.